Which of the following drugs causes osteoporosis on long term use
1. Etidronate
2. Prednisolone
3. Phneytion
4. Calcitriol

Correct answer: 2. Prednisolone

Explanation: Refer KDT 7/e p 293 Etidronate and phneytoin cause osteomalacia whereas calcitriol is used in treatment of osteoporosis